Metachromatic leukodystrophy is due to deficiency of
1. Hexosaminidase A
2. Hexosaminidase B
3. Ceramidase
4. Arylsulfatase

Correct answer: 4. Arylsulfatase

Explanation: DiseaseEnzyme deficiencySymptomsMetachromaticleukodystrophyArylsulfatase AMental retardation and psychologic disturbances in adults; demyelinationRef: Harper's Biochemistry; 30th edition; Chapter 24 Metabolism of Acylglycerols & Sphingolipids